Xenograft means transplanting organs from?
1. One species to another
2. Member of same species
3. Twin to twin
4. One site to another in an individual

Correct answer: 1. One species to another

Explanation: ANSWER: (A) One species to anotherREF: Textbook of Microbiology & Immunology by Parija page 168Transfer of individual's own tissue or organ fron one site to another site in the body i.e. recipient is also the donor, eg skin grafting, coronary artery bypass grafting Transfer of tissue between two genetically identical individuals l.e. identical twins.Unless technical problems hi surgery, they are always successful. Transfer of tissue or an organ between genetically different Individuals of same species, i.e. from one human to another. This is predominant transplant today. Transfer of tissue or an organ between members of different spedes. 1 is always rejected by an immunocompetent host